Most Radiosenstitive ovarian tumor is –
1. Serus cystadenoma
2. Dysgerminoma
3. Demoid cyst
4. Teratoma

Correct answer: 2. Dysgerminoma